Transition mutation of GATCCT is:
1. GGTCCT
2. GTTCCT
3. GTCCCT
4. GGUGGT

Correct answer: 1. GGTCCT

Explanation: Ans: A (GGTCCT) In Transition type of mutation, a purine base is replaced by another purine base (A-G) or a pyrimidine is replaced by another pyrimidine (C-T).So-Transition of -GATCCT is GGTCCT (only single base is changed, according to options given, it the only answer)